Which of the following is true about Agar hydrocolloid impression material?
1. Liquefies between 71 - 100°C
2. Solidfies between 50 - 70°C
3. Facilitates fabrication of metal dyes
4. Cannot register fine surface details

Correct answer: 1. Liquefies between 71 - 100°C